In carcinoma cervix, the causative etiological factor is
1. Condyloma accuminata
2. HPV 16,18
3. HPV 6, 11
4. HSV 1 and 2

Correct answer: 2. HPV 16,18

Explanation: HPV 16,18